Which of the following is not a cardioselective beta blocker:
1. Acebutol
2. Atenolol
3. Pindolol
4. Metoprolol

Correct answer: 3. Pindolol

Explanation: Pindolol